The voice in a patient with bilateral abductor paralysis of larynx is:
1. Puberuophonia
2. Phonasthenia
3. Dysphonia plicae ventricularis
4. Normal or good voice

Correct answer: 4. Normal or good voice

Explanation: Ans. is d i.e. normal or good voice Management Lateralization of cord by arytenoidectomy, endoscopic surgery, thyroplasty type II, cordectomy In emergency cases -Tracheostomy may be required Also know Generally patients with bilateral recurrent laryngeal nerve palsy have a recent history of thyroid surgery or rarely an advanced malignant thyroid tumor. Most common presentation-Development of stridor following URI Since the voice of the patient is normal\\it is diagnosed very late.